Which of the following condition is associated with pruning of pulmonary arteries?
1. Chronic Bronchitis
2. Pulmonary infections
3. Pulmonary transplant
4. Pulmonary hypertension

Correct answer: 4. Pulmonary hypertension

Explanation: Pulmonary hypertension is defined as pulmonary systolic arterial pressure equal to exceeding 25mmHg or a mean pulmonary artery pressure greater than 18mmHg during rest. In long standing hypertension, peripheral pulmonary arteries develop vasoconstriction which is visualized as abrupt diminishing of peripheral vessels and is termed as peripheral pruning. Pruning of pulmonary arteries is a characteristic radiological feature of pulmonary hypertension. Other vascular signs include: Dilatation of central pulmonary artery. Based on CT criteria, a main pulmonary arterial diameter of more than 29mm is strongly suggestive of arterial hypertension if it is associated with segmental artery to bronchus ratio of more than 1:1 in either of the lungs. 2. Long standing pulmonary hypertension is associated with atherosclerotic calcification of pulmonary arteries. Ref: Comparative Interpretation of CT and Standard Radiography of The Chest By Emmanuel E. Coche, Pages 445-8